Perifascicular atrophy is seen in -
1. Perifascicular atrophy is seen in -
2. Wilson disease
3. Beckers's dystrophy
4. Dermatomyositis

Correct answer: 4. Dermatomyositis

Explanation: Ans. is 'd' i.e., Dermatomyositis Muscle biopsy in dermatomyositis shows myonecrosis, myophagocytosis and perifascicular atrophy.